Percentage of gall stones which are radio opaque ?
1. 10%
2. 20%
3. 30%
4. 50%

Correct answer: 1. 10%

Explanation: Ans. is 'a' i.e. 10%